Endoscopic biopsy from a case of H.pylori related duodenal ulcer is most likely to reveal -
1. Antral predominant gastritis
2. Multifocal atrophic gastritis
3. Acute erosive gastritis
4. Gastric atrophy

Correct answer: 1. Antral predominant gastritis

Explanation: H. pylori gastritis typically affects the antrum and is associated with increased gastric acid production. The induced mucosa-associated lymphoid tissue (MALT) can transform TEXT BOOK OF ROBBINS BASIC PATHOLOGY NINTH EDITION PAGE.569 IMAGE REF: